All of the following help in detoxification of drugs except
1. NADPH cytochrome p450 reductase
2. Cytochrome p450
3. Cytochrome oxidase
4. Monooxygenase

Correct answer: 3. Cytochrome oxidase

Explanation: Drugs are metabolized by cytochrome p450 dependent oxidation and cytochrome p450 independent oxidation (by monooxygenase) NADPH cytochrome p450 reductase is same as flavin monooxygenase Cytochrome oxidise is involved in respiratory change and not in drug metabolism Refer kdt 11/e p55